Bloody discharge from the nipple is most commonly due to
1. Mammary duct ectasia
2. Carcinoma
3. Duct papilloma
4. Fibrocystic disease

Correct answer: 3. Duct papilloma

Explanation: Ans C Duct papilloma Ref: Bailey & Love's short practice of surgery 25th ed Causes of nipple discharge Blood Green Single duct Duct papilloma Ductal carcinoma Duct ectasia Duct ectasia Serous Fibrocystic disease Duct ectasia Multiple ducts Ductal carcinoma Duct ectasia Fibrocystic disease